Rapid examination of tubercle bacilli is possible with
1. Ziehl-Neelson stain
2. Kin young stain
3. Auramine-Rhodamine stain
4. Giemsa stain

Correct answer: 3. Auramine-Rhodamine stain

Explanation: Auramine rhodamine: When several smears are to be examined daily, it is more convenient to use fluorescent microscopy. Smears are stained with auramine phenol or auramine rhodamine fluorescent dyes and examined under ultraviolet illumination or where the source is LED. Bacilli appear as bright rods against the dark background. Because of the contrast, the bacilli can be seen even under the high dry objective, enabling large areas of the smear to be screened rapidly. Ref: Textbook of microbiology; Ananthanarayan and paniker's; 10th edition; Pg:358